All of the following are advantages of using Raloxifen over estrogen in post menopausal women except ?
1. Reduces fracture rates
2. Avoids Endometrial hyperplasia
3. Reduces incidence of venous thrombosis
4. No increase in incidence of breast carcinoma

Correct answer: 3. Reduces incidence of venous thrombosis

Explanation: Ans. is 'c' i.e., Reduces incidence of venous thrombosis